Commonest variety of acute inflammation is
1. Purulent inflammation
2. Serous inflammation
3. Catarrhal inflammation
4. Necrotic inflammation

Correct answer: 3. Catarrhal inflammation

Explanation: Ans. (c) Catarrhal inflammation(Ref: Chandrasoma taylor: 3ed: 45)Catarrhal inflammationCommonest type of inflammation QIncreased mucus secretionSeen in common cold